Anti-histone antibodies are specific for:
1. CNS lupus
2. Drug induced lupus
3. Neonatal lupus
4. Cutaneous lupus

Correct answer: 2. Drug induced lupus

Explanation: b. Drug induced lupus(Ref: Nelson's 20/e p 1176-1180, Ghai 8/e p 628)Anti histone antibodies are directed against Histones & are seen in Drug-induced lupus.